Air in the biliary tract is seen in all except –
1. Gall stone ileus
2. Sclerosing cholangitis
3. Carcinoma gall bladder
4. Endoscopic papillotomy

Correct answer: 2. Sclerosing cholangitis

Explanation: Gallstone ileus, carcinoma gall bladder and endoscopic papillotomy can cause pneumobilia (air in biliary tract)
Ascending cholangitis (not sclerosing cholangitis) can cause pneumobilia.